Oil red o staining used for
1. Frozen section
2. Glutaraldehyde fixed specimen
3. Alcohol fixed specimen
4. Formalin fixed specimen

Correct answer: 1. Frozen section

Explanation: Ref Bancroft histology 7/e p 83 Air dry frozen sections on slides for 30 minutes minimum 2. Fix in 10% neutral buffered formalin for 10 minutes 3. Dip in 60% isopropanol 1 time quickly 4. Stain in working Oil Red O solution for 15 minutes 5.